All of the following brain areas are involved with Obsessive compulsive disorder except
1. Claustrum
2. Orbitofrontal cortex
3. Basal ganglia
4. Head of caudate nucleus

Correct answer: 1. Claustrum